Pathological manifestation of chronic alcoholism . include all of the following except
1. Piecemeal necrosis
2. Balloning degeneration
3. Microvesicular fatty changes
4. Central hyaline sclerosis

Correct answer: 1. Piecemeal necrosis

Explanation: Microscopy of chronic alcoholism a)microvescicular steatosis b)balloning degeneration c)mallory bodies(hyaline degenaration) d)neutrophilic infiltration e) perivenular fibrosis GENERAL AND SYSTEMIC PATHOLOGY RAMDAD NAYAK PGNO.449 IMAGE REF: GENERAL AND SYSTEMIC PATHOLOGY RAMDAS NAYAK SECOND EDITION FIG:19-16A &B PAGE 449